Kawasaki's disease has the following features except?
1. Cervical lymphadenopathy
2. Strawberry tongue
3. Thrombocytopenia
4. Perianal peeling of skin/ desquamation

Correct answer: 3. Thrombocytopenia

Explanation: Kawasaki's disease Clinical scenario : - ECG Findings of MI in 4 year old child 4 yrs C/F- Fever + 4 out of 5 of the following: 1. Cervical lymphadenopathy 2. Strawberry tongue 3. Rash 4. Perianal & periungual peeling of skin/desquamation 5. Bulbar congestion